Buerger's disease usually affects all of the following except:
1. Small sized arteries
2. Medium sized arteries
3. Large arteries
4. Deep veins

Correct answer: 3. Large arteries

Explanation: Ans. C: Large Arteries